Large giant cells are found in -
1. Alcoholic hepatitis
2. Neonatal hepatitis
3. Serum hepatitis
4. Amoebic hepatitis

Correct answer: 2. Neonatal hepatitis

Explanation: Ans. (b) Neonatal hepatitis(Ref: Robbins 9th/pg 857)The morphologic features of neonatal hepatitis include:Lobular disarray with focal liver cell apoptosis and necrosis QPanlobular giant-cell transformation of hepatocytes QProminent hepatocellular and canalicular cholestasisMild mononuclear infiltration of the portal areas,Reactive changes in Kupffer cellsExtramedullary hematopoiesis